Intracavitary radiation is given in:
1. Carcinoma of the cervix
2. Carcinoma of the lung
3. Carcinoma of the oesophagus
4. Carcinoma of the oral cavity

Correct answer: 1. Carcinoma of the cervix

Explanation: Ans. Carcinoma of the cervix